Which of the following is the least favorable form of repair after root fracture?
1. Healing with calcified tissue
2. Healing with interposition of connective tissue.
3. Healing with interposition of bone and connective tissue
4. Healing with interposition of granulation tissue

Correct answer: 4. Healing with interposition of granulation tissue